All are true statement about tracheostomy and larynx in children except:
1. Omega shaped epiglottis
2. Laryngeal cartilages are soft and collapsable
3. Larynx is high in children
4. Trachea can be easily palpated

Correct answer: 4. Trachea can be easily palpated

Explanation: Infant's larynx differs from adult in:It is situated high up (C2 - C4).Q (in adults = C3 - C6)Of equal size in both sixes (in adults it is larger in males)Larynx is funnel shapedThe narrowest part of the infantile larynx is the junction of subglottic larynx with trachea and this is because cricoid cartilage is very smallEpiglottis is omega shaped, soft, large and patulous.Laryngeal cartilages are soft and collapse easilyShort trachea and short neck.Vocal cords are angled and lie at level of C4Trachea bifurcates at level of T2Thyroid cartilage is flat. The cricothyroid and thyrohyoid spaces are narrow.Tracheostomy in Infants and Children Trachea of infants and children is soft and compressible and its identification may become difficult and the surgeon may easily displace it and go deep or lateral to it injuring recurrent laryngeal nerve or even the carotid.During positioning, do not extend too much as this pulls structures from chest into the neck and thus injury may occur to pleura, innominate vessels and thymus or the tracheostomy opening may be made twoo low near suprasternal notchTracheostomy in Infants and Children The incision is a short transverse one, midway between lower border of thyroid cartilage and the suprasternal notch. The neck must be well extended.A incision is made through two tracheal rings, preferably the third or fourth.